Pars flaccida of the tympanic membrane is also called as
1. Reissner's membrane
2. Shrapnel's membrane
3. Basilar membrane
4. Secondary tympanic membrane

Correct answer: 2. Shrapnel's membrane

Explanation: Situated above the lateral process of malleus between the notch of Rivinius and the anterior and posterior malleolar fold. Reference: Dhingra 6th edition